Serum sickness syndrome is an example of:
1. Anaphylactic shock
2. Angioneurotic edema
3. Cell-mediated immunity
4. Systemic arthus reaction

Correct answer: 4. Systemic arthus reaction